Pontine Stroke is associated with all except :
1. Bilateral pin point pupil
2. Pyrexia
3. Vagal palsy
4. Quadriparesis

Correct answer: 3. Vagal palsy

Explanation: Answer is C ( Vagal palsy) Vagal palsy is not a recognized feature of pontine stroke Features of pontine stroke Sudden onset Deep coma with quadriplegia (usually occurs over a few minutes) Pinpoint pupils (1mm pupils) that react to light. Loss of reflex eye movements and corneal responses (There is impairment of reflex horizontal eye movements evoked by head turning i.e doll's head or oculocephalic maneuver or by irrigation of the ears with ice water). Decrebrate rigidity / Posturing Hyperpnea / Hyperventilation Severe Hypertension Ocular bobbing Excessive Sweating / Hyperhidrosis Hyperpyrexia, (Neurology Secrets 4th Ed.) Hyperpyrexia and intracerebral haemorrhage ; Harrison 16th / 164 A fever of> 41.5degC (> 1067degF) is called hyperpyrexia. This extraordinary high fever can develop in patients with severe infections, but most commonly occurs in patients with central nervous system (CNS) haemorrhages.